Patient diagnosed to have malaria, smear shows all stages of schizonts 14-20 merozoites, yellowish - brown pigment. The type of malaria is -
1. Pl. falciparum
2. Pl. malariae
3. Pl. vivax
4. Pl. ovale

Correct answer: 3. Pl. vivax